Maximum analgesic action found in –
1. Catecholamine
2. Propofol
3. Ketamine
4. Thiopentone

Correct answer: 3. Ketamine

Explanation: Ketamine is different from most other anaesthetic induction agents in that it has significant analgesic action.